Ossification centre for lunate appears at?
1. Birth
2. 2nd Months
3. 4 Year
4. 12 Years

Correct answer: 3. 4 Year

Explanation: OSSIFICATION: At 2 months to 1-year Ossification of capitate starts, and at 12 years Ossification of Pisiform starts. ossification of lunate occurs at 4 years. REF: BD Chaurasia 7th edition Page no: 27.